Which among the following is a typical intercostal nerve?
1. First
2. Second
3. Third
4. Seventh

Correct answer: 3. Third

Explanation: Typical intercostal nerves are the ones that are confined to their own intercostal spaces in the thoracic wall. The course of the third, fourth, fifth, and sixth intercostal nerves can be regarded as typical. They run forwards in the intercostal spaces lying between the second and third layers of the muscles. A typical intercostal nerve has four major branches. The first branch is made up of the unmyelinated postganglionic fibers of the gray rami communicantes, which interfaces with the sympathetic chain. The second branch is the posterior cutaneous branch, which innervates the muscles and skin of the paraspinal area. The third branch is the lateral cutaneous division, which arises in the anterior axillary line. It provides most of the cutaneous innervation of the chest and abdominal wall. The fourth branch is the anterior cutaneous branch supplying innervation to the midline of the chest and abdominal wall.